A young adult presents with night blindness and tubular vision. On examination, Intraocular Pressure was observed to be 18mm and the anterior segment was unremarkable. Fundoscopy showed attenuation of arterioles and waxy pallor of the optic disc with bony corpuscles like spicules of pigmentation in mid peripheral retina. Ring scotomas were observed on perimetry. Which of the following is the most likely diagnosis:
1. Pigmentary Retinal Dystrophy
2. Primary Open Angle Glaucoma
3. Lattice degeneration of Retina
4. Diabetic Retinopathy

Correct answer: 1. Pigmentary Retinal Dystrophy

Explanation: A i.e. Pigmentary Retinal Dystrophy